Integrin ligands are all except _____.
1. CD 54
2. CD 102
3. CD 106
4. CD 34

Correct answer: 4. CD 34